Which of the following structure in spermatic cord doesn't come during surgery for vasectomy?
1. Testicular artery
2. Ilioinguinal nerve
3. Autonomic nerves
4. Testicular vein

Correct answer: 2. Ilioinguinal nerve

Explanation: The ilioinguinal nerve (L1) passes through part of the inguinal canal but not a part of spermatic cord.A vasectomy is a simple procedure in that it only requires an incision through the skin and layers of each spermatic cord to cut the ductus deferens. The spermatic cord contains the same muscular and fascial layers as the anterior abdominal wall because the testis descends through the abdominal wall to the scrotum during embryonic development. The spermatic cord contains the following structures:Ductus deferensTesticular (gonadal) arteryTesticular (gonadal) veinAutonomic neuronsRef: Morton D.A., Foreman K.B., Albertine K.H. (2011). Chapter 7. Anterior Abdominal Wall. In D.A. Morton, K.B. Foreman, K.H. Albertine (Eds), The Big Picture: Gross Anatomy.